Rickets in infant present as all except-
1. Cranitabes
2. Widened Fontanel
3. Rachitic Rosary
4. Bow legs

Correct answer: 4. Bow legs

Explanation: Ans. is 'd' i.e., Bow legso Long bones of legs gets deformed when the child starts bearing weight. Therefore deformities of legs are unusual before the age of one year.